Renal vein thrombosis is associated with which underlying disease of the kidney?
1. Chronic glomerulonephritis
2. Pyelonephritis
3. SLE
4. Nephrotic syndrome

Correct answer: 4. Nephrotic syndrome

Explanation: Renal vein thrombosis (RVT) - occurs most commonly in patients with nephrotic syndrome The syndrome is responsible for a hypercoagulable state. Kidneys are enlarged Hematuria is present The excessive urinary protein loss is associated with decreased antithrombin III, a relative excess of fibrinogen, and changes in other clotting factors; all lead to a propensity to clot. Magnetic resonance venography -Most sensitive and specific noninvasive form of imaging to make the diagnosis of renal vein thrombosis